A 50 year old male presents with cicatricial entopion of upper and lower eyelid. On eversion of upper eyelid, linear conjunctival scars - Arlt line are seen. What is the diagnosis?
1. Trachoma
2. Spring catarrah
3. Ligneous conjunctivitis
4. Parinaud oculoglandular syndrome

Correct answer: 1. Trachoma

Explanation: Ans. is 'a' i.e., Trachoma * Arlt line is a feature of trachoma.Signs of Trachoma* Conjunctival signs Congestion, conjunctival follicles (boiled sagograin like), Papillary hyperplasia, conjunctival scarring (Arifs line), concretion.* Corneal signsSuperficial keratitis, Herbert follicles, Pannus, Corneal ulcer, Herbert pits, Corneal opacity.